Regarding fanconi's anaemia the wrong statement is
1. Autosomal dominant
2. Bone marrow show pancytopenia
3. Usually aplastic Anemia
4. It is due to defective DNA repair

Correct answer: 1. Autosomal dominant

Explanation: Ref Robbins 8/e p302; Harrison 665; 9/e p314-315 FA is primarily an autosomal recessive geneticdisorder. This means that two mutated alleles (one from each parent) are required to cause the disease. The risk is 25% that each subsequent child will have FA. About 2% of FA cases are X-linked recessive, which means that if the mother carries one mutated Fanconi anemia allele on one X chromosome, a 50% chance exists that male offspring will present with Fanconi anemia.